Which of the following drug is used for the treatment of sickle cell anemia ?
1. Hydroxyurea
2. Cisplatin
3. Paclitaxel
4. Carboplatin

Correct answer: 1. Hydroxyurea